Death from Hydrocution results due to the contact of skin with:-
1. Water that is at least 5degC lower than body temperature
2. Water that is at least 5degC higher than body temperatur
3. Water that is at least 15degC lower than body temperature
4. Water that is at least 15degC higher than body temperature

Correct answer: 1. Water that is at least 5degC lower than body temperature

Explanation: Immersion syndrome (Hydrocution/submersion inhibition/cold water drowning): It refers to syncope resulting from cardiac dysrhythymias on sudden contact with water that is atleast 5degC lower than body temperature Mechanism: Vagal stimulation leading to asystolic cardiac arrest ('diving reflex'), or ventricular fibrillation secondary to QT prolongation after a massive release of catecholamine on contact with cold water. The resultant loss of consciousness leads to secondary drowning.